Which is never a cause of thyroglossal fistula -
1. Infection of thyroglossal cyst
2. Inadequate removal of thyroglossal cyst
3. Congenital
4. None of the above

Correct answer: 3. Congenital

Explanation: • A thyroglossal fistula usually presents as discharging sinus in the midline of the neck in the line of thyroid descent.
• It is never congenital but follows infection or inadequate removal of a thyroglossal cyst
• Acquired condition
Clinical Features
• Presentation is with a fistulous opening near to the midline of the neck
• The fistula may become infected and discharge pus
Treatment
• The fistula should be excised along with the thyroglossal tract upto the base of the tongue.
• This requires removing the central (middle one third) of the hyoid bone.